A child is able to copy a cross at what age?
1. 4 years
2. 5 years
3. 2 and half years
4. 3 years

Correct answer: 1. 4 years